Nitrate causes all of the following EXCEPT:
1. Decrease in heart size
2. Increase in cardiac work
3. Preload reduction
4. Dilatation of cutaneous blood vessels

Correct answer: 2. Increase in cardiac work